Autoinfection is a mode of transmission in -
1. Trichinella
2. Cyticercosis
3. Ancylostoma
4. Ascaris

Correct answer: 2. Cyticercosis

Explanation: cysticercosis man sometimes gets infection in the same way as the pig I.e either by drinking contaminated water or by eating uncooked vegetables infected with eggs. Apart from this a man harbouring the adult worm may also auto infect himself either due to unhygienic personal habbits or by a reversal of peristaltic movement of the intestines by which gravid segments are thrown back to the stomach,equivalent to the ingestion of thousands of eggs (refer pgno:100 baveja 3 rd edition)